True about confabulation
1. A memory disorder
2. Synonymous with false memory syndrome
3. It is congenital
4. It is age related disease

Correct answer: 1. A memory disorder

Explanation: It is important to know that, confabulation is also known as false memory, but not false memory syndrome. In false memory syndrome, a person erroneously believe that they sustained an emotional or physical (e.g. sexual) trauma in early life. On the other hand, in confabulation person unintentionally fills the gap of memory with untrue material.